A 6-month-old infant presented with multiple papules & exudative lesions on the face, scalp, trunk and few vesicles on palms and soles for 2 weeks. His mother has h/0 itchy lesions. The most likely diagnosis is –
1. Scabies
2. Infantile exzema
3. Infantile sebornheic dermatitis
4. Impetigo contagiosa

Correct answer: 1. Scabies

Explanation: This Infant has:-


Papules & exudative lesions on face, scalp, trunk
Vesicles on Palms & soles
H/o of involvement of mother (Itchy lesions in mother).


This infant has papulo-vesicular lesions.

Two most important diseases which cause papulovesicular lesions in the infant are:-

Atopic dermatitis
Scabies

But, in atopic dermatitis palms & soles are not involved.So, this infant is suffering from scabies